True about juvenile respiratory papillomatosis -a) Affects children commonlyb) Lower respiratory tract can be involvedc) May resolve spontaneouslyd) Microlaryngoscopic surgery is treatment of choice
1. abc
2. bcd
3. abd
4. All of the above

Correct answer: 4. All of the above

Explanation: As discussed in the previous questions – Juvenile respiratory papillomatosis:
a. Affects children commonly, (option a is correct)
b. Lower respiratory tract can be involved – though larynx is the M/C site affected – Mouth, pharynx, tracheobronchial tree and oesophagus can all be affected Hence option b is correct
c. May resolve spontaneously (Hence option c is correct)
d. Microlaryngoscopic surgery is the treatment of choice
CO2 laser surgery, which is a form of microlaryngoscopic surgery is the treatment of choice
Hence option d is also correct.